Most important bactericidal agent is
1. Cationic basic protein
2. Lactoferrin
3. Lysozyme
4. Reactive O2 species

Correct answer: 4. Reactive O2 species

Explanation: H2O2- MPO- halide system is the most efficient bactericidal system of neutrophils